Trophoblast gives rise to all the following EXCEPT?
1. Cytotrophoblast
2. Syncytiotrophoblast
3. Intra-embryonic mesoderm
4. Extra-embryonic mesoderm

Correct answer: 3. Intra-embryonic mesoderm

Explanation: Around day 6 - 8 after fertilization : 1. Outer cell mass i) Cytotrophoblast ii) Syncytiotrophoblast 2. Inner cell mass of embryoblast i) Epiblast ii) Hypoblast Intraembryonic mesoderm is formed from epiblast cells.